Punched out Ulcer in Esophagus on Endoscopy in a Immunocompromised patient is seen in
1. Herpes simplex
2. Herpes Zoster virus
3. CMV
4. Candidiasis

Correct answer: 1. Herpes simplex

Explanation: Herpes Simplex Esophagitis: - * Common in Immunocompromised patients. * Characterised by small raised herpetic vesicles few days before on the lips. * Endoscopy reveals- Vesicles and small ulcers with raised margins (Punched out) usually in upper half of esophagus. Ref:- Bailey and Love 27th Edition; Pg num:- 1104